Wolff - Parkinson - White (WPW) syndrome is characterised by
1. Prolonged PR interval
2. Delta wave
3. U wave
4. Heart block

Correct answer: 2. Delta wave

Explanation: (Delta wave) (1316, 1351-H) (1393-H17th)WPW-Svndrome - Triad consist of(I) Wide QRS complex associated with relatively short PR interval (0.12s)(II) Slurring of the initial part of the QRS {delta wave)(III) Aberrant activation of ventricular myocardiumTreatment of WPW syndrome and AF(I) DC cardioversion (life threatening)(II) Lidocaine or procainamide (non-life threatening situations)